In posterior pituitary releases ADH & oxytocin its function disorganised lesion in
1. Supraoptic & paraventricular nuclei
2. Ventromedial part of hypothalamus
3. Lateral hypothalamus
4. Posterior hypothalamus

Correct answer: 1. Supraoptic & paraventricular nuclei

Explanation: (A) Supraoptic & paraventricular nuclei > The hormones of the posterior pituitary gland are synthesized in the cell bodies of the magnocellular neurons in the supraoptic and paraventricular nuclei and transported down the axons of these neurons to their endings in the posterior lobe, where they are secreted in response to electrical activity in the endings.* Some of the neurons make oxytocin and others make vasopressin, and oxytocin-containing and vasopressin-containing cells are found in both nuclei.